Angle of tracheal bifurcation is increased in enlargement of:
1. Right ventricle
2. Left ventricle
3. Right atrium
4. Left atrium

Correct answer: 4. Left atrium

Explanation: Ans. Left atrium